Why vocal cord looks pale?
1. Vocal cord is muscle, lack of blood vessels network
2. Absence of mucosa, no blood vessels
3. Absence of sub mucosa, no blood vessels
4. Absence of mucosa with blood vessels

Correct answer: 3. Absence of sub mucosa, no blood vessels

Explanation: Vocal cord are fibro elastic bands. They are formed by reflection of the mucosa over vocal ligaments. They have stratified squamous epithelium with no submucous layer Their blood supply is poor and are almost devoid of lymphatics. Hence vocal cords look pale in appearance.